Products of Phospholipase C are ?
1. Inositol and diacylglycerol
2. Inositol triphosphate and Diacylglycerol
3. Lysophospholipid and fattyacid
4. Phosphatidate and IP2

Correct answer: 2. Inositol triphosphate and Diacylglycerol

Explanation: Ans. is 'B' i.e., Inositol triphosphate and DiacylglycerolIP3 or Inositol triphosphate and DAG or Diacyl glycerol are second messengers formed from Phosphatidyl inositol diphosphate (PIP2) by the action of Phospholipase C.Activation of phospholipase (by stimulatory G protein) hydrolyses the membrane phospholipid phosphatidyl inositol 4, 5 bisphosphate (PIP2) to generate the second messenger inositol 1, 4, 5 - triphosphate (IP) and diacylglycerol (DAG).